Bilious vomiting is seen in all except:
1. Jejunal atresia
2. Volvulus of small intestine
3. Duodenal atresia
4. Pyloric stenosis

Correct answer: 4. Pyloric stenosis

Explanation: Ans: d (Pyloric stenosis)Ref: Bailey & Love, 24th ed, p. 1033 & 23rd ed, p. 899